Risk of failure of cold chain maintainance is more at
1. District hospitals
2. PHCs
3. Subcentre level
4. CHCs

Correct answer: 3. Subcentre level